Following are seen in vitamin A deficiency EXCEPT:
1. Nightblindness
2. Follicular hyperkeratosis
3. Growth retardation
4. Polyneuritis

Correct answer: 4. Polyneuritis

Explanation: Ans. D i.e. Polyneuritis